In Hybrid RNA-DNA, DNA is 5CTTAAG3. The sequence of RNA will be:
1. 5CTTAAG3
2. 5CUUAAG3
3. 5GAATTC3
4. 5GAAUUC3

Correct answer: 2. 5CUUAAG3

Explanation: B i.e. 5CUUAAG3